The clinical use of leuprolide include all the following except
1. Endometriosis
2. Osteoporosis
3. Prostate cancer
4. Precocious puberty

Correct answer: 2. Osteoporosis

Explanation: Refer KDT 6/e p 239 GnRH agonists as well as antagonists can cause hit flushes, loss of libido and osteoporosis as adverse effects